Special visceral efferent doesn't include
1. A) nucleus ambiguous
2. B) Dorsal nucleus of the Xth cranial nerve
3. C) Motor nucleus of Vth cranial nerve
4. D) Motor nucleus of VIIth cranial nerve

Correct answer: 2. B) Dorsal nucleus of the Xth cranial nerve

Explanation: Special visceral efferent( purely motor) for the supply of muscles of facial expression, muscles of mastication and muscles of palate and pharynx, larynx(Nucleus ambiguous). Dorsal nucleus of vagus (parasympathetic): it is a mixed nucleus, being both motor (visceromotor and secretomotor) and sensory. General visceral efferent fibres arise in the dorsal nucleus of the vagus. Ref:- BD chaurasia volume 3, pg num:-288,289